Socially acquired behavior is known as:
1. Culture
2. Socialization
3. Internalization
4. Custom

Correct answer: 1. Culture

Explanation: Ans. A: Culture Culture is defined as "learned behaviour which has been socially acquired". It is the central concept around which cultural anthropology has grown. Socialization refers to the process of inheriting norms, customs and ideologies. It may provide the individual with the skills and habits necessary for participating within their own society; a society itself is formed through a plurality of shared norms, customs, values, traditions, social roles, symbols and languages. Socialization is thus 'the means by which social and cultural continuity are attained' Acculturation means culture contact.